A 29-year-old woman presents with increasing shortness of breath and coughing. She had asthma as a child but has not required any treatment for the past 10 years. On examination, she has expiratory wheezes. Which of the above may cause bronchodilation?For the above patient with a clinical symptom, select the most appropriate medication.
1. albuterol
2. ethanol
3. amitriptyline
4. NSAIDs

Correct answer: 1. albuterol

Explanation: Ephedrine, isoproterenol, and albuterol are beta-adrenergic agonists and cause bronchodilatation. Ipratropium bromide also results in bronchodilatation by its anticholinergic effect. In susceptible individuals, the beta2-adrenergic blocking effect of propranolol can cause life-threatening bronchoconstriction. The other medications listed have no effect on bronchial airways.